Most common cause of HIV infection in infant is ?
1. Perinatal transmission
2. Breast milk
3. Transplacental
4. Umbilical cord sepsis

Correct answer: 1. Perinatal transmission

Explanation: Ans. is 'a' i.e., Perinatal transmission